Embryo reduction of multiple pregnancy is done at:
1. 8-10 weeks
2. 11-13 weeks
3. 13-15 weeks
4. 16-18 weeks

Correct answer: 2. 11-13 weeks

Explanation: Embryo reduction in multifetal pregnancy us done usually at 11-13 weeks of gestation.For more information,refer page no 241 of dutta's text book of obsteics,8 th edition.